Paramesonephric duct develops into:
1. Vas deferens
2. Seminal vesicle
3. Ureter
4. Uterus

Correct answer: 4. Uterus

Explanation: Ans. D. Uterus MaleFemaleMesonephric ductDuct of epididymisDuct of epoophoron(Wolffian duct)Ductus deferensPart of bladder and urethra Ejaculatory duct Part of bladder and prostatic urethra (Paramesonephric or Mullerian duct)Appendix of testisUterine tube Prostatic utricleUterus Vagina